16 year old boy presents to emergency with injury to his right index finger tip with glass piece. Which of the following radiological modality is best used for determination of glass piece in patient's finger?
1. X-Ray
2. USG
3. CT Scan
4. MRI

Correct answer: 1. X-Ray

Explanation: Glass is always radio-opaque irrespective of content of lead and other additives. So plain X-Ray is best to look for glass foreign body.